Which of the following surgical procedure can be used as an alternative for SMR (Submucosal Resection)?
1. Tympanoplasty
2. Septoplasty
3. Caldwell Luc operation
4. Tuboplasty

Correct answer: 2. Septoplasty

Explanation: In submucosal resection there is removal of the entire septum except for a 1cm wide dorsal and caudal stuart that remains for nasal support. An alternative to this procedure is septoplasty in which the surgeon resects only the deviated portion of the nasal septum allowing maximal preservation of this structure. Clinical indications of septoplasty: Deviation of the nasal septum with partial or complete unilateral or bilateral obstruction of airflow Persistent or recurrent epistaxis Evidence of sinusitis secondary to septal deviation Headaches secondary to septal deviation and contact points Anatomic obstruction that makes indicated sinus procedure difficult to perform efficiently Obstructive sleep apnea As an approach to transseptal transsphenoidal approach to pituitary fossa